45 years old Chandu is always preoccupied with feeling of illness. The diagnosis is
1. Somatoform disorder
2. Hypochondriasis
3. Munchausen syndrome
4. Dissociative disorder

Correct answer: 2. Hypochondriasis

Explanation: B i.e. Hypochondriasis